Sporulation occurs at
1. Lag phase
2. Log phase
3. Stationary phase
4. Decline

Correct answer: 3. Stationary phase

Explanation: Lag phase - maximum cell size.
Stationary phase - sporulation.